All of the following about PDA are true except –
1. More common in males
2. Common heart lesion in rubella
3. Treatment is closure of defect by ligation and division of ductus
4. Hypoxia and immaturity are important in maintaining the patency

Correct answer: 1. More common in males